In Down's syndrome, 2nd trimester quadruple test includes all EXCEPT:
1. Alpha fetoprotein
2. HCG
3. Inhibin A
4. PAPP

Correct answer: 4. PAPP

Explanation: Ans. (d) PAPP* The triple test measures the following three levels in the maternal serum: (sensitivity 71%)# Alpha-fetoprotein (AFP)# Human chorionic gonadotropin (hCG)# Unconjugated estriol (UE3)* Quadruple test include: triple test + Inhibin A: increases sensitivity upto 80%The levels may indicate increased risk for certain conditions: hCGAssociated conditionsLowLowHighDown's syndromeLowLowLowTrisomy 18 (Edward's syndrome)High--NTD, omphalocoele, gastrochisis